POEM is done for which of the following disease
1. Achalasia cardia
2. Hiatus hernia
3. Diffuse esophageal spasm
4. Esophageal carcinoma

Correct answer: 1. Achalasia cardia

Explanation: Answer- A. Achalasia cardiaTreatment of achalasia cardiaThe aim of treatment is to be relieve the functional obstruction at the cardiaThe two main methods to achieve this areForceful dilatation orEsophageal myotomy (Heller's myotomy) with or without an antireflux procedurePer-oral endoscopic myotomy (POEM)It is now the preferred method by some surgeones.It is an endoscopic procedure in which myotomy is done under guidance of endoscope introduced by oral route.